Which of the following is not an example of macroglia?
1. Schwann cells
2. Oligodendrocytes
3. Astrocytes
4. None of the above

Correct answer: 4. None of the above

Explanation: There are three types of macroglia: oligodendrocytes, Schwann cells, and astrocytes Ref: Ganong's Review of Medical Physiology 23rd edition, Chapter 4.